Felty's syndrome is associated with disease of-
1. Thyrotoxicosis
2. Splenomegaly
3. Hepatomegaly
4. None of the above

Correct answer: 2. Splenomegaly

Explanation: Ref - Davidsons 23e p1025